Basal skull view (submentovertical view) X-ray is best to visualize –
1. Ethmoid sinus
2. Frontal sinus
3. Sphenoid sinus
4. Maxillary sinus

Correct answer: 3. Sphenoid sinus

Explanation: Best view for maxillary sinus → Water's view (occipito-mental view)
Best view for frontal sinus     →  Caldwell view (occipito-frontal view)
Best view for sphenoid sinus  →   Basal view (submentovertical view)